Patch on tonsil is not caused by:
1. Vincent's angina
2. Candida
3. Staphylococcus
4. Ludwig's angina

Correct answer: 4. Ludwig's angina

Explanation: (d) Ludwig's angina(Ref. Scott Brown, 8th ed., Vol 3; 550)Ludwig's angina does not involve tonsil. The other options can lead to patch/pseudomembrane on the tonsil.